A 50-year-old obese man with hyperlipidemia, hypertension, and type 2 diabetes mellitus comes to the physician for a routine examination During the visit he asks, “What is my risk of having a heart attack?” 

While searching your information database, which of the following represents the best study design to address his question?
1. Case-control study
2. Case series
3. Cohort study
4. Cross-sectional study

Correct answer: 3. Cohort study